The term 'free association' is coined by
1. Freud
2. Adler
3. Erikson
4. Juna

Correct answer: 1. Freud

Explanation: A. i.e. Freud Psychoanalysis Credit for invention of psychoanalysis belongs to Sigmund FreudQ, (born on 6 may 1956 in Freiburg, Czech Republic spent most of life in Vienna (Austria) & died in Lndon in 1939)Q Principles of role of meaning, free association, resistance, transference, counter transference and parapraxes are at the core of psychoanalysis as a treatmentQ. Other tenets (principles) include unconscious mental activity, role of childhood experiences in shaping adult personality and notion of psychic determination. Concept of psychic determinism means that all mental activity is purposeful & meaningful (not accidental)Q, though unconscious, & is linked with previous experiences of life. Role of meaning - means all symptoms, thoughts, feelings & behaviours are final common pathways of meaningful psychological processes. Many of which were unconscious. So even content of auditory hallucinations (produced by biological factors) is meaningful & shows psychological characteristics unique to that patients. Free association is a technique when patient is asked to say whatever came to mind. Freud recognized that patients often resist the physician's effort to heal reflected by mundane behaviours such as unable to follow suggestions, missing medication or scheduled appointment; all reflecting unconscious resistance to getting better. Parapraxes or slips of tongue, often reveal unconscious intent that is outside the individual's awareness. Transference is patient's displacement of early wishes & feelings toward persons from past onto the analyst or physician. It is influenced by analyst's real characteristics as it is an admixture of figures from the patient's past & the real relationship with the clinician in present. Counter transference is the flip side of transference - the clinician's feelings towards the patientQ, based on mixture of real characteristics of patient and qualities associated with figures from the clinician's past. In classical psychoanalysis, no detailed history taking, mental status examination or formalized diagnosis is attempted. The patient is allowed to communicate unguidedQ, by using free association. Therapist constantly challenges existing defences & interprets resistances and transference (patient's feeling, behaviour & relationship with the therapist)Q. The physician remains passive & his approach is non-directive i.e. no direct advice is ever givenQ to the patient. The crux of therapy is on interpretation.